Platlets can be stored at
1. 20-24degC for 5 days
2. 20-24degC for 8 days
3. 4-8degC for 5 days
4. 4-8degC for 8 days

Correct answer: 1. 20-24degC for 5 days

Explanation: Ans. is (a) i.e. 20-24degC for 5 days